Autopsy of a specimen shows pale infarction. Pale infarct is seen in all of the following organs, EXCEPT:
1. Heart
2. Spleen
3. Lung
4. Kidney

Correct answer: 3. Lung

Explanation: Classification of Infarcts: Pale (white, anemic) infarcts: They occur as a result of arterial obstruction in solid organs such as the heart, kidney, spleen, and brain that lack significant collateral circulation. The continuing venous drainage of blood from the ischemic tissue accounts for the pallor of such infarcts. Red (or hemorrhagic) infarcts: They found in tissues that have a double blood supply--eg, lung and liver--or in tissues such as intestine that have collateral vessels permitting some continued flow into the area although the amount is not sufficient to prevent infarction. The infarct is red because of extravasation of blood in the infarcted area from necrotic small vessels. Red infarcts may also occur in tissue if dissolution or fragmentation of the occluding thrombus permits reestablishment of arterial flow to the infarcted area. Venous infarcts are always associated with congestion and hemorrhage. They are red infarcts. Ref: Chandrasoma P., Taylor C.R. (1998). Chapter 9. Abnormalities of Blood Supply. In P. Chandrasoma, C.R. Taylor (Eds), Concise Pathology, 3e